Rapid Antigen Test for meningitis organisms in a child can be done on the following specimens except
1. Blood
2. CSF
3. Urine
4. Throat swab

Correct answer: 4. Throat swab

Explanation: Throat swab is not a test for meningitis organisms in child . Since organisms may present in the CSF , blood and urine they are to be tested for rapid antigen test. Reference: GHAI Essential pediatrics, 8th edition